The most definite feature of a malignant tumour is:
1. Haemorrhage
2. Increased mitoses
3. Metastasis
4. Necrosis

Correct answer: 3. Metastasis